Which one of the following is a cholestatic drug ?
1. Erythromycin
2. Phenothiazines
3. Oral contraceptives
4. All of the above

Correct answer: 4. All of the above